Emporiatrics is the word used to describe the science of:
1. Epidemics
2. Feet
3. Health of travellers
4. Child health

Correct answer: 3. Health of travellers